False statement regarding HCG is:
1. It is secreted by cytotrophoblasts
2. It acts on same receptor as LH
3. It has luteotrophic action
4. It is a glycoprotein

Correct answer: 1. It is secreted by cytotrophoblasts

Explanation: The HCG secreted by the syncytiotrophoblast of the placenta is released into both the fetal and maternal circulation. Ref: Human Chorionic Gonadotropin (Hgc) By Larry Cole, 2010, Page 20 ; Textbook of Obstetrics By D.C.Dutta, 5th Edition, Page 59